A 30 year old patient is investigated for acute pancreatitis. Which scoring system is used for early prediction of mortality?
1. BISAP
2. Balthazar scoring system
3. Ranson's
4. APACHE II

Correct answer: 1. BISAP

Explanation: Early predictors of severity at 48 hours included 3 Ranson's signs and APACHE II score 8. A recent scoring system for the early prediction of mortality was developed in acute pancreatitis. This scoring system known as the Bedside Index of Severity in Acute Pancreatitis (BISAP), incorporates five clinical and laboratory parameters obtained within the first 24 hours of hospitalization. BUN >25, Impaired mental status, SIRS, Age >60 years, Pleural effusion on radiography. Presence of three or more of these factors was associated with increased risk for in-hospital mortality. Reference: Harrisons Principles of Internal Medicine, 18th Edition, Page 2639